Decrease in gastric acid secretion by all except -
1. Ranitidine
2. Omeprazole
3. Sucalfate
4. Perenzepine

Correct answer: 3. Sucalfate

Explanation: Ans. is 'c' i.e., SucralfateDrugs for peptic ulcer1. Reduce gastric acid secretiunH, antihistaminic - Cimetidine, Ranitidine, Famotidine, Roxatidine.Proton pump inhibitors - Omeprazole; Lansoprazole. Pantoprazole, Rabeprazole, Esomeprazole.Anticholinergics - Pirenzepine, propantheline, oxyphenonium.Prostaglandin analogue - Misoprostol, enprostil, rioprostih2. Neutralization of gastric acid (antacids)Systemic - Sodium bicarbonate, sodium citrate.Non systemic - Magnesium hydroxide, Mag. trisilicate. aluminium hydroxide, Magaldrate. calcium carbonate.3. Ulcer protectivesSucralfate, colloidal bismuth subcitrate, Prostaglandin analogue.4. Anti H. pylori durgsAmoxicillin, clarithromycin, metronidazole, Tinidazole. tetracycline.